Unsuccessfulness of DMPA has been primarily because of :
1. Breakthrough bleeding
2. Effect on lactation
3. Delay in return of fertility
4. Failure rate

Correct answer: 1. Breakthrough bleeding

Explanation: Breakthrough bleeding